A 40-year-old man is brought to emergency. On examination he appears conscious and oriented but reports hearing voices of people threatening him. He admits to a history of chronic alcohol use. What is the most appropriate diagnosis?
1. Alcoholic hallucinosis
2. Delirium tremens
3. Korsakoff psychosis
4. Schizophrenia

Correct answer: 1. Alcoholic hallucinosis

Explanation: Alcoholic hallucinosis is characterised usually by presence of auditory hallucination. As person is conscious and oriented delirium tremens is ruled out. There are not enough symptoms to conclude that he suffers from schizophrenia.